Young lady presents with acute abdominal pain and history of 11/2 months amenorrhoea, on USG examination there is collection of fluid in the pouch of douglas and empty gestational sac. Diagnosis is
1. Ectopic pregnancy
2. Pelvic hematocele
3. Threatened abortion
4. Twisted ovarian cyst

Correct answer: 1. Ectopic pregnancy

Explanation: Ans. is a i.e. Ectopic pregnancy